ProvisonofPHC was done by-
1. Bhore Committee
2. Chadah Committee
3. Shrivastava Committee
4. Bajaj Committee

Correct answer: 1. Bhore Committee

Explanation: Ans. is 6a' i.e., Bhore Committe Bhore Committeo It is also known as 'Health Survey and Development Committee Its recommendations were :-1) Integration of preventive and curative services at all administration levels2) Short term and long term recommendations# Short term : PHC to cater to a population of40,000# Long term (3 million plan) : PHC units to be set up with 75 bedded hospital for each 10,000 to 20,000 population3) Major charger in medical education including 3 months training in social and preventive medicine to prepare 'social physicians'.